River blindness is caused by:
1. Onchocerca
2. Loa Loa
3. Ascaris
4. B. malayi

Correct answer: 1. Onchocerca

Explanation: Ans. is 'a' i.e., Onchocerca(Ref: Harrison, 19th/e, p. 1421)* Onchocerciasis is also known as River blindness Q and fly involved is Simulium fly.